Atherosclerosis impedes coronary blood flow by which of the following mechanisms?
1. Plaques obstruct the vein
2. Plaques obstruct the artery
3. Blood clots form outside the vessel wall
4. Hardened vessels dilate to allow blood to flow through

Correct answer: 2. Plaques obstruct the artery

Explanation: Option A: Arteries, not veins, supply the coronary arteries with oxygen and other nutrients.
Option C: Atherosclerosis is a direct result of plaque formation in the artery.
Option D: Hardened vessels can’t dilate properly and, therefore, constrict blood flow.